Which of the following carcinoma causes osteosclerotic bone metastasis commonly?
1. Kidney
2. Thyroid
3. Lung
4. Prostate

Correct answer: 4. Prostate

Explanation: Metastases are most commonly seen in the pelvis, ribs, vertebral bodies, and proximal limbs. These lesions typically have a lytic appearance on plain radiographs, although breast and prostate metastases can be sclerotic or mixed with lytic and sclerotic features. Must know: Overall, metastases are the most common tumor of bones. Adults: Approximately 75% of metastases to the bone are derived from prostate, breast, kidney, and lung carcinomas. Children: Neuroblastoma, Wilms tumor, osteosarcoma, and Ewing sarcoma. Kidney and thyroid neoplasms are known for producing a solitary metastasis. Metastases to hand and foot bones are uncommon and, if present, the source is usually a lung, colon, or renal neoplasm. Ref: Srinivasan R.C., Tolhurst S., Vanderhave K.L. (2010). Chapter 40. Orthopedic Surgery. In G.M. Dohey (Ed), CURRENT Diagnosis & Treatment: Surgery, 13e.